Arial supply of the duodenum is by
1. Superior mesenteric artery
2. Celiac artery
3. Inferior mesenteric artery
4. Both superior mesenteric and celiac arteries

Correct answer: 4. Both superior mesenteric and celiac arteries

Explanation: The superior and inferior pancreaticoduodenal arteries (from the gastroduodenal artery and SMA respectively) form an anastomotic loop between the celiac trunk and the SMA; so there is potential for collateral circulation here. The venous drainage of the duodenum follows the arteries. Ref - BDC 6e vol2 pg 263